Breast milk is rich in _____ when compared to cow's milk:
1. Lactose
2. Protein
3. Fat
4. Vitamin K

Correct answer: 1. Lactose

Explanation: Ref: Core of The Newborn by Meharban Singh 7th Edition, Page No. 163 Preventive and social medicine by A'.Park. 18th edition ,page no.398Explanation:Difference between human and cow's milk {composition per 100 ml)ConstituentBreast milkCow's milkPROTEIN1.1g3.3g-Casein0.4g2.8g-Soluble protein0.7g0.5gLIPID3.5g3.5gCARBOHYDRATES7.0g5-0g-Lactose6.5g4.5gCalcium34mg122mgPhosphorous15mg90mgIron0.29-0.45 mg0.01-0.38 mgFolic acid0.14-0.36pg0.01-0.06pgVitamin B120.0008-0.45pg0.07-1.15pgVitamin A0.5-10 lU70-220 IUVitaminC1.2-10 mg1.2-1.5 mgVitamin D0.5-10 IU0.5-4.5 IUVitamin K1.5mg6mgENERGY67 kcl65 kcal